Neurofibromatosis true is all except ?
1. Autosomal recessive
2. Associated with cataract
3. Scoliosis
4. Multiple fibroma

Correct answer: 1. Autosomal recessive

Explanation: Ans. is `a' i.e., Autosomal recessive